Which of the following tumors show increased -kit -
1. Yolk sac tumor
2. Embryonal carcinoma
3. Choriocarcinoma
4. Seminoma

Correct answer: 4. Seminoma

Explanation: Ans. is 'd' i.e., Seminoma o C KIT or CDII 7 is a proto-oncogene, overexpression or mutations of this protein can lead to cancer. o Activating mutations in this gene are associated with gastrointestinal stromal tumors, testicular seminoma, mast cell disease, melanoma, acute myeloid leukemia, while inactivating mutations are associated with the genetic defect piebaldism.